Hypoglossal nerve supplies all of these muscle except:-
1. Palatoglossus
2. Styloglossus
3. Genioglossus
4. Hyoglossus

Correct answer: 1. Palatoglossus

Explanation: Tongue Ant 2/3rd Post 1/3rd Posterior most part Taste Chorda tympani CN IX CN X Sensory Lingual of V3 CN IX CN X Motor Both intrinsic & extrinsic muscles supplied by XII CN except palatoglossus which is supplied by the pharyngeal plexus.